Dengue fever, all true except:
1. Is spread by the vector Aedes aegypti
2. Has an incubation period of 2-3 weeks
3. Is caused by a Flavivirus
4. Characteristically causes severe myalgia

Correct answer: 2. Has an incubation period of 2-3 weeks

Explanation: Ans. B. Has an incubation period of 2-3 weeks.a. Dengue virus belongs to Flaviviridae. Two genera of medical importance in Flaviridae-b. Flavivirus: arthropod borne viruses; Dengue, Yellow fever, Japanese encephalitisc. Hepacivirus: non-arthropod borne; Hepatitis C virus.d. Vector for dengue- Aedes aegypti mosquito. Others- A. albopinctus, A. polynesiensis. These mosquitoes breed around human dwellings in uncovered water storage containers, vases, flower dishes, cans, etc. They shelter indoors and are day biters.e. Incubation, period - 5-8 days. All age groups & both sexes are affectedf. Saddle back fever (biphasic), severe headache and retro-orbital pain, muscle and joint pains (break bone fever), nausea, vomiting and rash are seen in dengue.